Most common malignant eyelid tumour is:
1. Melanoma
2. Retinoblastoma
3. Neuroblastoma
4. Basal cell carcinoma

Correct answer: 4. Basal cell carcinoma

Explanation: Ans. D: Basal cell carcinoma The most common malignant tumour of the eyelid is basal cell carcinoma (Rodent ulcer). It usually involves the lower eyelid and inner canthus in elderly patients. The growth is only locally malignant and probably originates in the accessory epithelial structures of the skin-hair follicles and glands-but the lymphatic nodes are not affected